Ultrasonography transducer contain
1. Sodium fluride
2. Lead Zirconate
3. Caesium fluoride
4. None

Correct answer: 2. Lead Zirconate

Explanation: Some naturally occurring materials possess piezoelectric properties (e.g., quartz) But most crystals used in medical ultra sound are man-made. This group of artificial piezoelectric materials are known as ferroelectrics. Barium titanate was the first of the ceramic ferroelectrics to be discovered. This has been largely replaced by lead zirconate titanate, commonly known as PZT. Now lead zirconate titanate is the most commonly used Several types of PZT are available, with slight variations in chemical additions and thermal treatment producing different properties. Ref : Christensen's Physics of Diagnostic Radiology, 4/E,Pg no.329